A teenager girl with moderate acne is also complaining of irregular menses. Drug of choice with be-
1. Oral jsotretinon
2. Oral acitretin
3. Oral minocycline
4. Cyproterone acetate

Correct answer: 4. Cyproterone acetate

Explanation: In Acne with associated endocrinological abnormalities like polycystic ovarian syndrome (PCOS) manifests with obesity, hirsutism, androgenetic alopecia and acne. Oestrogens and antiandrogens(cyproterone acetate, spirono lactone, flutamide) and agents designed to inhibit the endogenous production of androgens by the ovary(oral contraceptives and gonadotropin releasing agonists) or adrenal gland(low dose glucocorticoids ) are used Reference Harrison20th edition pg 1206